Most commonly liver transplant in infants is done for
1. Biliary atresia
2. Hemochromatosis
3. Biliary cirrhosis
4. Uremia

Correct answer: 1. Biliary atresia

Explanation: 10-15% of liver transplantation in children is done for biliary atresia. Acute liver failure from hemochromatosis is the primary indication for liver transplantation in the neonatal population. Cirrhosis is the most common indication for liver transplantation in adults Reference Bailey and love's edition 24 page 202